A patient got his SBP reduced by 10mmHg when he stood up and he gained only 8mmHg. What was the gain?
1. –4
2. 4
3. –8
4. 8

Correct answer: 1. –4

Explanation: Correction here is = –8mmHg
Error persists even after correction = 10 – 8 = +2
Gain = Correction / Error 
         = –8 / +2 
         = –4